A patient with carbon monoxide poisoning is treated with hyperbaric oxygen that increases the arterial PO2 to 2000 mm Hg. The amount of oxygen dissolved in the arterial blood (in ml/100 ml) is:
1. 2
2. 3
3. 4
4. 6

Correct answer: 4. 6

Explanation: Since the solubility of oxygen is 0.003 ml O2/100 ml blood, an arterial PO2 of 2000 mm Hg will increase the concentration of the dissolved oxygen to 6 ml O2/100 ml blood. Note that this actually exceeds the normal arterial-venous difference for the oxygen concentration.